Emile Durkheim is linked with work on which condition is psychiatry
1. Suicide
2. Obsessive compulsive disorder
3. Anxiety disorder
4. Schizophrenia

Correct answer: 1. Suicide

Explanation: Durkheim's theory: first major contribution to the study of social and cultural influences on suicide was made by french sociologist Emile Durkheim. He divided suicides into three social categories- Egoistic, Altruistic amd Anomic. Ref: Synopsis of Psychiatry, 11e, pg 766.